CA-125 is a marker antigen for the diagnosis of
1. Colon cancer
2. Breast cancer
3. Brain cancer
4. Ovarian cancer

Correct answer: 4. Ovarian cancer

Explanation: (D) Ovarian Carcinoma MARKERSMucins & other GlycoproteinsAssociated Cancers* CA-125Ovarian cancer* CA-19-9Colon cancer, pancreatic cancer* CA-15-3Breast cancer